Indirect hyperbilirubinemia are seen in ?
1. Dubin-Johnson syndrome
2. Rotor syndrome
3. Gilbert syndrome
4. Gallstone

Correct answer: 3. Gilbert syndrome

Explanation: Ans is 'c' i.e., Gilbert syndrome